Varicella zoster remains latent in -
1. Lymphocytes
2. Monocytes
3. Trigeminal ganglion
4. Plasma cells

Correct answer: 3. Trigeminal ganglion

Explanation: Involvement of the nasociliary branch of the trigeminal nerve (ganglion) indicated lesion on nasal tip REF:IADVLS TEXT BOOK OF DERMATOLOGY PGNO.74